Diagnostic method of choice for leptospirosis:
1. Cold agglutination test
2. MSAT
3. MAT
4. Latex agglutination test

Correct answer: 3. MAT

Explanation: Cold agglutination test- Mycoplasma pneumoniae Microscopic agglutination test- Leptospira Latex agglutination test can be used to identify and type several organisms The microscopic agglutination test (MAT) is the gold standard for sero-diagnosis of leptospirosis because of its unsurpassed diagnostic specificity. It uses panels of live leptospires, ideally recent isolates, representing the circulating serovars from the area where the patient became infected.